Which of the following chemokine is having CCR3 receptor?
1. IL-8
2. Eotaxin-2
3. CCL3
4. Fractalkine

Correct answer: 2. Eotaxin-2

Explanation: CCR3 is the receptor for eotaxin-2. Eosinophil chemokine receptors and their ligands: Receptor Chemokine CCR1 CCL3 (MIP-1a); CCL5 (RANTES) CCR3 CCL11 (Eotaxin1); CCL24 (Eotaxin 2); CCL26 (Eotaxin 3) CCL7, 8, 13 (MCP2-4); CCL5 CXCR1 & 2 CXCL8 (IL-8) Ref: Wardlaw A.J. (2010). Chapter 62. Eosinophils and Their Disorders. In J.T. Prchal, K. Kaushansky, M.A. Lichtman, T.J. Kipps, U. Seligsohn (Eds), Williams Hematology, 8e.